All viruses can be cultured in
1. Chemically defined media as that used for bacteria
2. Living systems only
3. Agar culture
4. Non living systems also

Correct answer: 2. Living systems only

Explanation: Viruses can be cultivated in living systems only.